Persistence of Moro's reflex is abnormal beyond the age of-
1. 3rd month
2. 4th month
3. 5th month
4. 6th month

Correct answer: 4. 6th month

Explanation: Ans. is d i.e., 6th month "In normal infant the Moro's reflex begins to fade at three months of age and gradually disappears at 4-6 months. When it persists beyond 6 months it indicates delay in CNS development." "Moro's reflex disappears by six months in normal infant."